ATP'S are formed in the following steps of kreb's cycle:
1. Isocitrate dehydrogenase
2. Succinate dehydrogenase
3. Succinate thiokinase and Malate dehydrogenase both
4. All of the above

Correct answer: 4. All of the above

Explanation: A i.e. Isocitrate dehydrogenase; B i.e. Succinate dehydrogenase; C i.e. Succinate thiokinase;- Energy producing enzymes in Kreb's (TCA) cycle are - a -ketoglutarate dehydrogenase, Malate dehydrogenase, Isocitrate dehydrogenase, Succinate dehydrogenase and Succinate thiokinase.Mn - A KG MIS (- dehydrogenase) is ST (successful teacher)- One NADH may produce 2.5 ATP and 1 FADH may produce 1.5 ATP through respiratory chainQ.